ELISA is:
1. A name of a scientist
2. A radiologic procedure
3. A pioneer in dentistry
4. An enzymatic immune reaction

Correct answer: 4. An enzymatic immune reaction